1,3 b-glucan test can be used for all of the following infections except?
1. Invasive Aspergillosis
2. Invasive Candidiasis and Candidemia
3. Pneumocystis Jiroveci pneumonia
4. Cryptococcal meningitis

Correct answer: 4. Cryptococcal meningitis

Explanation: Management of Candidiasis & Aspergillosis recommend serum 1-3, b -D-glucan testing to assist in the assessment of patients with suspected deep- seated fungal infections. It is also useful for diagnosis of P. Jiroveci infection. This test is not useful for diagnosis of Mucor, Rhizopus, Blastomyces dermatitidis, and Cryptococcus species. For diagnosis of Cryptococcus infection, Cryptococcal antigen (CRAg) test in CSF and blood is used.